In nodulocystic acne treatment is :
1. Steroids
2. Antibiotics
3. Isotretinoin
4. Antifungal

Correct answer: 3. Isotretinoin